Adequate mixing of mercury is indicated by:
1. Dry Mix
2. Shiny Mix
3. Short Mixing Time
4. None

Correct answer: 2. Shiny Mix